Tyndallization involves steaming at
1. 100°C for 20 min for 3 consecutive days
2. 121°C for 15 min for 3 consecutive days
3. 126°C for 2 mins for 3 consecutive days
4. < 100°C for 20 mins

Correct answer: 1. 100°C for 20 min for 3 consecutive days

Explanation: Tyndallization involves steaming at 100°C for 20 minutes for 3 consecutive days.
Used for sterilization of gelatin and egg serum or sugar contaning media.